Peutz-jegher syndrome-all are true except
1. Pigmentation of lips & oral mucosa
2. Polyposis of jejunum
3. Radiotherapy is treatment of choice
4. Malignancy occurs rarely

Correct answer: 3. Radiotherapy is treatment of choice

Explanation: .PEUTZ-JEGHER'S POLYP * It is common in small intestine (jejunum) but can also occur in large intestine. * Features are multiple, familial, hamartomatous intestinal polyps. * Asssociated with melaenosis of the oral mucosa, lips (lower lip) and occasionally digits (not in tongue). * Microscopically it contains tree like branching filaments of mucosa with smooth muscle wall. * It can occasionally turn into malignancy. ref:SRB's manual of surgery,ed 3,pg no 831